Net ATPs produced by oxidation of Palmitic acid is -
1. 106
2. 26
3. 16
4. 129

Correct answer: 1. 106

Explanation: Ans. is 'a' i.e., 106 Number of ATP molecules formed by p-oxidation of important fatty acidsFatty acidCycles in b-oxidationSource of ATPTotal ATPs (recent calculations)Total ATPs (older calculations)Myristic acid (14- C)6 Cycles7 acetyl CoA, 6 FADH2, 6 NADH(7x10)+(6xl[?]5)+(6x2[?]5) = 94 ATPs(Net gain = 94-2= 92 ATPs)(7x12) + (6x2) + (6x3) = 114 ATPs(Net gain = 114-2 = 112 ATPs)Palmitic acid (16- C)7 Cycles8 acetyl CoA, 7 FADH2, 6 NADH(8x10)+(7x1[?]5)+(7x2[?]5) = 108 ATPs(Net gain = 108-2 = 106 ATPs)(8x 12) + (7x2) + (7x 3) = 131 ATPs(Net gain = 131-2 = 129 ATPs)Stearic acid(18-C)8 Cycles9 acetyl CoA, 8 FADH2, 8 NADH(9x10)+(8xl[?]5)+(8x2[?]5)= 122 ATPs(Net gain = 122-2 = 120 ATPs)(9x12)+(8x2)+(8x3)= 148 ATPs(Net gain = 148-2 = 146 ATPs)